All of the following are primary lesions of skin except ____:
1. Nodule
2. Purpura
3. Wheal
4. Scar

Correct answer: 4. Scar

Explanation: Ans. D. Scar* Scar is a secondary skin lesion.* Scar occurs due to the replacement of a tissue destroyed by injury or disease by fibrous tissue.Primary Lesions of SkinPrimary lesions of the skin include:* Papule* Plaque* Wheal* Vesicle* Bulla* Nodule* Macule* Patch* Purpura* PustuleFor mnemonic lovers, the following mnemonic might help!"Predatory Poisonous Wasps Viciously Bit on the Nose of My Patient causing Purulent Pus"